The commonest cause of acute pancreatitis
1. Biliary calculi
2. Alcohol abuse
3. Infective
4. Idiopathic

Correct answer: 1. Biliary calculi

Explanation: Causes of Acute pancreatitis Common causes Gallstones including microlithiasis (most common) Alcohol (2nd most common) Hyperglyceridemia ERCP Blunt abdominal trauma Post operative Drugs Sphincter of oddi dysfunction Rare causes Infections (CMV, Coxsackie, Mumps, Echovirus (CME) parasites) Autoimmune (sjogren syndrome) Uncommon causes Vascular causes and Vasculitis (ischaemic hypoperfusion states after Cardiac surgery) Connective tissue disorders TTP CA pancreas Hypercalcemia(Hyperparathyroidism) Periampullary Diverticulum Pancreas divisum Hereditary pancreatitis Cystic fibrosis Renal failure Ref: Sabiston 20th edition Pgno :1525-1526th edition